Mark the false statement regarding types of nucleotide repair
1. UV radiation exposure leads to the formation of Thymine-thymine dimers
2. MUTYH associate polyposis is associated with base excision repair
3. Mismatch repair is done in G1 phase of cell cycle
4. Base excision repair mainly occurs in G1 phase

Correct answer: 3. Mismatch repair is done in G1 phase of cell cycle

Explanation: Type of repair Phase of cell cycle Damage Cause Disease Nucleotide excision G1 Thymine - Thymine dimers (T-T Dimers) UV radiation Xeroderma pigmentosa Base excision repair G1 mainly (occur in any phase) Cytosine deaminated to uracil Spontaneous, heat, infra red rays, viral infection, Nitrous Oxide MUTYH associate polyposis Mismatch repair G2 Mismatched base Proof-reading error HNPCC (Herediatry Non Polyposis Colorectal Cancer) HNPCC also known as Lynch syndrome - | risk for developing colon cancer. Xeroerma Pigmentosa - | chances of skin malignancy.